Aim of damage control laparotomy are
1. Arrest hemorrhage
2. Control contamination
3. Prevent coagulopathy
4. All of the above

Correct answer: 4. All of the above